True labour differs from false labour by all except:
1. Absence of 'bag of water'
2. Painful uterine contractions
3. Progressive effacement and dilatation of the cervix
4. Pain often felt in front of the abdomen or radiating towards the thighs

Correct answer: 1. Absence of 'bag of water'

Explanation: Absence of 'bag of water'